Most common malignant tumour in childhood ?
1. Rhabdomyosarcoma
2. Leukemia
3. Lymphangioma
4. Neuroblastoma

Correct answer: 2. Leukemia

Explanation: Ans. is 'b' i.e., Leukaemia